Bacitracin acts on
1. Cell wall
2. Cell membrane
3. Nucleic acid
4. Ribosome

Correct answer: 1. Cell wall

Explanation: Ref Katzung 10/e p 741 Bacitracin acts by inhibiting the synthesis of cell wall Other polypeptide antibiotics like Polymyxin B, colistin and tyrothricin act by affecting membranes